Which of the following statements about the Narcotic Drugs and Psychotropic Substances Act (NDPS) is true –
1. Provides severe punishment for drug users and drug peddlers alike
2. Consumption of excessive alcohol is punishable under the act
3. Recommends treatment/rehabilitation of drug users and punishment for drug peddlers
4. Farmers growing opium are permitted to grow and consume unlimited amount of opium

Correct answer: 3. Recommends treatment/rehabilitation of drug users and punishment for drug peddlers

Explanation: The Narcotic Drugs and Psychoactive Substances Act 1985 (NDPS)
This Act repeals and renders obsolete three Acts namely –
1. The Opium Act 1857
2. The Opium Act 1878
3. The Dangerous Drugs Act 1930

According to this Act, a narcotic drug refers to the cocoa leaf, cannabis (hemp), opium, poppy straw and includes all manufactured drugs. A manufactured drug means all the cocoa derivatives, medicinal cannabis, opium derivatives and poppy straw concentrate and any other narcotic substance preparation, which the Central Government may by notification, declare to be manufactured drug.
The Act defines psychotropic substance as any substance, natural or synthetic, included in the list of psychotropic substances specified in a Schedule to the Act. The Schedule lists 77 psychotropic substances.
Under section 27 of the Act, if a person possess in a small quantity, any narcotic drug or psychotropic substance intended for personal use and not for sale or distribution, or consumes any narcotic or psychotropic substance, he shall be punished with imprisonment for a term, which may extend to one year or with fine or with both. The small quantity as quoted in the definition means:

1. 5 gm of hashish
2. 250 mg of heroin, smack and brown sugar
3. 5 gm of opium
4. 125 mg of cocaine
5. 500 gm of ganja

NDPS Act prohibits the cultivation of poppy, cannabis and coca plants, however, restricted cultivation is allowed for the medicinal or scientific purpose.
The minimum punishment for any offence committed under the Act is 10 years rigorous imprisonment and fine of Rs. 1 lakh while maximum punishment is 20 years rigorous imprisonment and fine of Rs. 2 lakh.